Immunoglobulin that is inactive at high temperature is?
1. IgG
2. IgA
3. IgM
4. IgE

Correct answer: 4. IgE

Explanation: IgE is heat liable ie, inactivated when heated from 5 min up to1 hr at 56 degrees. Reff: Ananthanarayan & Panikers textbook of microbiology 9th edition pg:99